Mechanism of action of paclitaxel is -
1. Topoisomerase inhibition
2. Increases the polymerization of tubulin
3. Inhibits protein synthesis
4. Alkylation of DNA

Correct answer: 2. Increases the polymerization of tubulin

Explanation: Ans. is 'b' i.e., Increases the polymerization of tubulin o Paclitaxel and docetaxel function as a mitotic spindle poison through high affinity binding to microtubules with enhancement of tubulin polymerization. o The microtubules are stabilized and their depolymerization is prevented inhibition of mitosis and cell division.